Acridine orange is a fluorescent dye used to bind
1. DNA and RNA
2. Protein
3. Lipid
4. Carbohydrates

Correct answer: 1. DNA and RNA

Explanation: DNA and RNA Acridine orange is a nucleic acid selective metachromatic stain useful for cell cycle determination Acridine orange interacts with DNA and RNA by intercalation or electrostatic attraction respectively - DNA intercalated Acridine orange fluoresces green - RNA electrostatically bound acridine orange fluoresces red It may distinguish between quiescent and activated proliferating cells and may also allow differential detection of )multiple GI compartments. - Acridine orange is also a useful method for measuring apoptosis and for detecting intracellular pH gradients and the measurement of proton pump activity. Uses of Acridine orange Demonstration of mucin Staining of DNA and RNA As a stain for electron microscopy study of mitochondria) osteoclasts Distinguish proliferating and resting cells Genetic determination of plasmodium falciparum and H. Pylori Also know D.N.A. can be best demonstrated by --> Feulgen Other methods of demonstrate D.N.A --> Methyl green pyronin, Gallocyanin chrome alum method Method of choice for demonstrating R.N.A --> Methyl green pyronin Other methods to demonstrate R.N.A. - Gallocyanin chroms alum, Acridine orange